Seminoma correspond to
1. Choriocarcinoma
2. Dysgermonoma
3. Granulosa tumor
4. Luteal cyst

Correct answer: 2. Dysgermonoma

Explanation: Seminoma corresponds to dysgerminoma in ovaries.